Candidiasis is a complication of all of the following except
1. Prolonged antibiotic therapy
2. Corticosteroid therapy
3. Immuno compromised disease
4. Aspiration pneumonia

Correct answer: 4. Aspiration pneumonia